Curschmann spirals are found in
1. Broncitis
2. Asthma
3. Bronchiectasis
4. Lung abscesses

Correct answer: 2. Asthma

Explanation: (Asthma) (726- Robbins 7th) (485- 492- HM 5,h) (492- Basic pathology 8th)* Bronchial Asthma - Histologically the mucous plugs contain whorls of shed epithelium. Which give rise to the well known Curschmann spirals*, Numerous eosinophils and charcot Leyden crystals* are present* The other characteristic histologic findings of asthma collectively called "airway remodeling"* REID INDEX is the ratio between thickness of the submucosal mucous glands (i.e, hypertrophy and hyper plasia) in the cartilage containg large airway to that of the total bronchial wall seen in chronic bronchitis**